All are used in gluconeogenesis except
1. Oleate
2. Succinate
3. Glutamate
4. Aspartate

Correct answer: 1. Oleate

Explanation: GLUCONEOGENESIS 1. Definition - It is the process by which glucose molecules are produced from non-carbohydrate precursors. These include lactate, glucogenic amino acids (Alanine, glutamic acid, aspartic acid, etc), glycerol part of fat and propionyl CoA derived from odd chain fatty acids. 2. Site - Gluconeogenesis occurs mainly in the liver, and to a lesser extent in the renal cortex. The pathway is partly mitochondrial and partly cytoplasmic. 3. Key Gluconeogenic Enzymes Pyruvate carboxylase Phosphoenol pyruvate carboxy kinase Fructose-1-6-bisphosphatase Glucose-6-phosphatase . Propionyl CoA as a substrate in gluconeogenesis - Propionyl CoA is formed from odd chain fatty acids and carbon skeleton of some amino acids. It is converted to succinyl CoA. It is a minor source for glucose. Ref: DM VASUDEVAN TEXTBOOK OF BIOCHEMISTRY, EIGHTH EDITION, PG.NO., 135,136,138.